Craniopharyngioma arises from -
1. Pituitary stalk
2. Posterior pituitary
3. Pineal gland
4. Cerebellum

Correct answer: 1. Pituitary stalk

Explanation: Ans. is 'a' i.e., Pituitary stalko Craniophyngioma is the most common supratentorial tumor in children. It is a suprasellar tumor which presents as cystic mass. Calcification is common.o It arises from squamous epithelial cells crests of embryonic rathke's pouch. In children they present as - visual loss, growth failure, Bitemporal hemianopsia.o Craniopharyngeoma arises from cells along pituitary stalk, especially from odontogenic epitheliumo Craniopharyngeoma is the most common cause of suprasellar calcification. Calcification is characteristic midline and immediately above cells.